NADPH is required for :
1. Gluconeogenesis
2. Glycolysis
3. Fatty acids synthesis
4. Glycogenolysis

Correct answer: 3. Fatty acids synthesis

Explanation: C i.e. Fatty acid synthesis